Which of the following statements about Histamine is true:
1. Is found in Mast cells
2. Increases gastric acid secretion
3. Related to arousal and blood pressure
4. All of the above

Correct answer: 4. All of the above

Explanation: D i.e. All Histamine is formed by decarboxylation of amino acid histidineQ, and is found in mast cell, basophils, enterochromaffin like cells of gastric mucosa and brainQ. It has been related to arousal, sexual behaviourQ, regulation of secretion of some anterior pituitary hormones, blood pressure, drinking & pain threshold.